Drugs to be avoided in Hypertrophic obstructive cardiomyopathy is
1. Amiodarone
2. Verapamil
3. Beta blockers
4. Digoxin

Correct answer: 4. Digoxin

Explanation: stepwise antihypertensive therapy effectively controlled both obstructive HCM symptoms and hypertension. ... Avoid digitalis, because glycosides are contraindicated except in patients with uncontrolled atrial fibrillation. Refer kDT 7/e p517